All are used for management of hyperkalemia except?
1. Calcium gluconate
2. Insulin plus dextrose
3. Beta 2 antagonist
4. Dialysis

Correct answer: 3. Beta 2 antagonist

Explanation: Management of Hyperkalemia IV calcium gluconate/ chloride Insulin lowers plasma K+ concentration by shifting K+ into cells. Beta 2 agonists, most commonly albuterol are effective IV bicarbonate has no role in the routine treatment of hyperkalemia. Removal of potassium by using cation exchange resins, diuretics and dialysis. Sodium polystyrene sulfonate (SPS) exchanges Na+ for K+ in the gastrointestinal tract and increases the fecal excretion of K+.